Deep transverse arrest is seen in all except :
1. Android pelvis
2. Epidural analgesia
3. Transverse lie
4. Uterine inertia

Correct answer: 3. Transverse lie

Explanation: Deep transverse arrest is a complication of occipitoposterior position, how can it occur in transverse lie. Causes of deep transverse arrest : Faulty pelvic architecture Depression of head Weak uterine contractions Laxity of pelvic floor muscles In transverse lie, presenting part is shoulder, so deep transverse arrest doesn't occur. Ref: Datta Obs 9e pg 349.